A/E one results in increased secretion of Renin
1. Renal ischaemia
2. Decreased amount of Na+ in DCT
3. Decreased amount of Na+ in PCT
4. Narrowing of afferent arterioles

Correct answer: 3. Decreased amount of Na+ in PCT

Explanation: C i.e. Decreased amount of Na+ in PCT